In which of the following infectious disease is testis involved but epidydimis is spared ?
1. Syphilis
2. Gonorrhea
3. Chancroid
4. Chlamydia

Correct answer: 1. Syphilis

Explanation: In congenital syphilis, testicular enlargement is present at birth, whereas in aquired form testis is involved in tertiary syphilis. Causes of Epidydimitis: *Chlamydia trachomatis *Neisseria gonorrhoeae *E. coli *Ureaplasma *Mycobacterium *Cytomegalovirus *Cryptococcus